All the following are essential criteria for perinatal asphyxia except
1. Prolonged metabolic alkalosis
2. Persistence of Apgar score of 0-3 for >5 min
3. Hypoxic ischemic encephalopathy (HIE) in the immediate neonatal period
4. Evidence of multiorgan dysfunction in the immediate neonatal period

Correct answer: 1. Prolonged metabolic alkalosis

Explanation: Essential criteria for perinatal asphyxia Prolonged metabolic or mixed acidemia (pH <7.0) on an umbilical arterial blood sample Persistence of Apgar score of 0-3 for >5 min Neurological manifestations, e.g. seizures, coma, hypotonia or hypoxic-ischemic encephalopathy (HIE) in the immediate neonatal period Evidence of multiorgan dysfunction in the immediate neonatal period Ref: Paediatrics; O.P. Ghai; 8th edition; Page no: 166